Type of sampling, if random sample is taken from a characteristic population, eg. Hindus, Muslims, Christians etc-
1. Simple random
2. Systemic random
3. Stratified random
4. Cluster

Correct answer: 3. Stratified random

Explanation: Ans. is 'c' i.e., Stratified random "Stratified random sampling is particularly useful where one is interested in analysing the data by a certain characteristic of the population, viz Hindus, Muslims, Christians, age group etc, - as we know these groups are not equally distributed in the population." ............ Park